The 5th key to normal occlusion is:
1. Molar interarch relationship
2. Mesiodistal crown angulations
3. Absence of rotation
4. Tight contacts

Correct answer: 4. Tight contacts